Diseases covered under Vision 2020 include all except:-
1. Cataract
2. Trachoma
3. Refractive errors
4. Retinal detachment

Correct answer: 4. Retinal detachment

Explanation: Vision 2020 : - AIM of vision 2020 is to eliminate avoidable blindness by 2020 2 Types Global Indian Cataract Refractive error + low vision Childhood blindness Trachoma Onchocerciasis/ River blindness Cataract Refractive error + low vision Childhood blindness Trachoma Glaucoma Diabetes retinopathy Corneal blindness.